Most common organ involved in GIST is?
1. Ileum
2. Duodenum
3. Colon
4. Stomach

Correct answer: 4. Stomach

Explanation: Ans. is 'd' i.e., Stomach * GISTs are the most common mesenchymal neoplasm of gastrointestinal tract. GIST represents a distinct group of gastrointestinal tumors that originate from the interstial cells ofcajal which control gastrointestinal peristalsis.* GISTs can occur anywhere in the gastroinstestinal tract; the most common site being the stomach followed by small intestine.